CT scan of a patient with history of head injury shows a biconvex hyperdense lesion displacing the grey-white matter interface. The most likely diagnosis is:
1. Subdural hematoma
2. Diffuse axonal injury
3. Extradural hematoma
4. Hemorrhagic contusion

Correct answer: 3. Extradural hematoma

Explanation: C i.e. Extradural Hematoma